Rectified spirit not used as preservation in case of-
1. Phenol
2. Cyanide
3. Insecticides
4. Aluminium phosphide

Correct answer: 1. Phenol

Explanation: Rectified spirit is used in all poisonings except phenol, phosphorus, paraldehyde, kerosene, formaldehyde, formic acid, alcohol, acetic acid, chloroform, chloral hydrate and ether.